Earliest symptom of Wilm's tumour
1. Hematuria
2. Pyrexia
3. Abdominal mass
4. Metastases

Correct answer: 3. Abdominal mass